Gas gangrene is caused by all except
1. Cl. Histolyticum
2. Cl. novyi
3. Cl. septicum
4. Cl. Sporogenes

Correct answer: 4. Cl. Sporogenes

Explanation: Gas gangrene is rapidly spreading, edematous myonecrosis occurring characteristically in association with a severe wound of extensive muscle mass contaminated by pathogenic clostridia. Most frequently encountered is clostridium perfringes. Also caused by clostridium novyi, Clostridium septicum and clostridium histolyticum. Reference: Textbook of Microbiology; Anathanarayan and paniker's; 10th edition; Page no: 261